Which one of the following is not measure of dispersion-
1. Range
2. Mean deviation
3. Median
4. Standard deviation

Correct answer: 3. Median

Explanation: Ref:Parks 23rd edition pg 848 Measures of dispersion: Range: simplest measure . Mean or average deviation. Standard deviation : most frequently used .